Distended abdomen in intestinal obstruction is mainly due to
1. Diffusion of gas from blood
2. Swallowed air
3. Fermentation of residual food
4. Bacterial action

Correct answer: 2. Swallowed air

Explanation: As nitrogen is not absorbed in GIT, swallowed air causes distended abdomen in intestinal obstruction.